In fracture of penis involving rupture of tunica albuginea with intact Buck's fascia following would be noted clinically?
1. Hematoma involving only the shaft of penis
2. Hematoma involving scrotal and perineal region
3. Penis, scrotum and abdominal wall
4. Penis scrotum and thighs

Correct answer: 1. Hematoma involving only the shaft of penis

Explanation: A penile fracture occurs when the tunica albuginea of one or both corpus cavernosum ruptures due to direct trauma to the erect penis. It can be associated with partial or complete urethral rupture, or deep dorsal vein injury. The most common cause is sexual intercourse, but other causes include animal bites, stabbing, bullet wounds, and self-mutilation. On examination, the penis is acutely swollen but flaccid, discolored, and tender. If Buck's fascia remains intact, the hematoma involves the penile shaft only. This results in typical eggplant deformity. If Buck's fascia is disrupted, hematoma can extend to the scrotum, perineum and suprapubic regions. A retrograde urethrogram may be necessary to assure urethral integrity. Surgical treatment consists of hematoma evacuation and suture apposition of the disrupted tunica albuginea. Ref: Nicks B.A., Manthey D.E. (2011). Chapter 96. Male Genital Problems. In J.E. Tintinalli, J.S. Stapczynski, D.M. Cline, O.J. Ma, R.K. Cydulka, G.D. Meckler (Eds), Tintinalli's Emergency Medicine: A Comprehensive Study Guide, 7e.